Which of the following is/are dentin desensitizing agent?
1. Potassium salts
2. 33% sodium fluoride solution
3. Strontium salts
4. All of the above

Correct answer: 4. All of the above

Explanation: Dentin desensitizers are materials used over open dentinal tubules on exposed root surfaces to eliminate fluid flow and desensitize dentin.